Anticodon region is an important part of the structure of:
1. r-RNA
2. t-RNA
3. m-RNA
4. z-DNA

Correct answer: 2. t-RNA

Explanation: Ans. B. t-RNAAnticodon is a code which codes for a specific amino acid and is present on t-RNA.Complementary codon is present on m-RNA. The structure of t-RNA is known as clover leaf like. It has mainly four arms.